All of the following are seen in Systemic Juvenile Arthritis except
1. Rheumatoid Factor +ve
2. Hepatosplenomegaly
3. High fever with rash
4. Elevated E.S.R

Correct answer: 1. Rheumatoid Factor +ve

Explanation: Rheumatoid factor is negative in systemic onset JIA Ref Ghai pediatrics eighth edition pg no 626